NREM Sleep true is -
1. Teeth grinding
2. Narcolepsy
3. Night mares
4. Sleep paralysis

Correct answer: 1. Teeth grinding

Explanation: Bruxism (teeth grinding) is seen during NREM sleep. All other options are disorders of REM sleep.